Sympathetic Stimulation causes all of the following, except
1. Increase in heart rate
2. Increase in blood pressure
3. Increase in total peripheral resistance
4. Increase in venous capacitance

Correct answer: 4. Increase in venous capacitance

Explanation: Ans. (d) Increase in venous capacitanceRef.: Ganong's physiology, 23rd ed, chapter 17SYMPATHETIC STIMULATIONBeta 1 Receptor -* SA node: increase in heart rate* AV node: increase in conduction velocity* HIS Purkinje system: increase in conduction velocity* Atria: increase in contractility and conduction velocity* Ventricle: increase in contractilityAlpha 1 Receptor -* Increase in total peripheral resistance leads to increase in BP.